In Kwashiorkor, which immunoglobulin is most affected –
1. IgD
2. IgA
3. IgE
4. IgM

Correct answer: 2. IgA